Best prenatal treatment CAH is :
1. Dexamethasone
2. Betamethasone
3. Prednisolone
4. Hydrocortisone

Correct answer: 1. Dexamethasone

Explanation: Prenatal diagnosis of CAH is possible with chorion villus sampling at early weeks of pregnancy using DNA probes. 17-OHP level in the amniotic fluid is elevated Prenatal therapy with dexamethasone or termination of pregnancy is the option Ref: D.C.DUTTA'S TEXTBOOK OF GYNAECOLOGY,6th edition; Pg no:445